Compressed air is used to fire lead slugs in -
1. Automatic pistol
2. Revolver
3. Air gun
4. Shot gun

Correct answer: 3. Air gun

Explanation: Air pistol and air guns release lead shots or pellets which are propelled by air compressed in a cylinder.
In other weapons, projectiles are ejected by high pressure due to rapid formation expanding hot gases.